All of the following drugs are used in the management of acute myocardial infarction, except:
1. Tissue Plasminogen activator
2. Intravenous beta blockers
3. Acetylsalicylic acid
4. Calcium channel blockers

Correct answer: 4. Calcium channel blockers

Explanation: Answer is D (Calcium channel blockers) Results of multiple trials of different calcium antagonists have failed to establish a role for these agents in the treatment of most patients with MI, in contrast to the more consistent data that exist for other drugs eg. beta blockers, aspirin and fibrinolytic agents. The routine use of calcium channel blockers can not be recommended'